On 7th postoperative day after laparoscopic cholecystectomy, patient developed right upper abdominal pain and 10 cm*8cm collection. Treatment consists of
1. Immediate laparotomy
2. Percutaneous drainage
3. Laparotomy and surgical exploration of bile duct and T-tube insertion
4. Roux-en-Y hepaticojejunostomy

Correct answer: 2. Percutaneous drainage

Explanation: Goals of therapy in Iatrogenic bile duct injury Control of infection limiting inflammation: Parenteral antibiotics Percutaneous drainage of periportal fluid collection Clear and thorough delineation of entire biliary anatomy MRCP/PTC ERCP (especially if cystic duct stump leak suspected) Re-establishment of biliary enteric continuity Tension free, mucosa - to-mucosa anastomosis Longterm transanastomotic stents if involving bifurcation of higher Roux-en-Y hepaticojejunostomy Ref: Sabiston 20th edition Pgno :1503